Which of the following contains as aromatic a ring?
1. Estradiol
2. Testosterone
3. Aldosterone
4. Cortisol

Correct answer: 1. Estradiol

Explanation: Estradiol is the 17-beta-isomer of estradiol, an aromatized C18 steroid with hydroxyl group at 3-beta- and 17-beta-position.Ref: DM Vasudevan, 7th edition, page no: 669